Which of the following drug is associated with postoperative delirium and hallucinations -
1. Ketamine
2. Propofol
3. Thiopentone
4. Etomidate

Correct answer: 1. Ketamine

Explanation: Undesirable psychotomimetic side effects during emergence has been seen with ketamine. Emergence reactions seen with ketamine include vivid dreaming, extracorporeal experiences (sense of floating out of the body), and illusions (misinterpretation of a real, external sensory experience) during emergence from anesthesia. These are usually associated with excitement, confusion, euphoria, and fear. Emergence reaction can be reduced by the use of benzodiazepines.